Action of toxic doses of Local anesthesia on CNS
can be described as
1. first stimulating the CNS followed by depression
2. first depressing it followed by CNS stimulation
3. only depression of the CNS
4. only stimulation of the CNS

Correct answer: 1. first stimulating the CNS followed by depression